The National Population Policy 2000 aims to achieve net reproduction rate by the year
1. 2005
2. 2010
3. 2015
4. 2050

Correct answer: 2. 2010

Explanation: National Population Policy 2000 has the objective of bringing the total fertility rate to replacement level by 2010 It also aims net reproduction rate by 1 by the year 2010 which the National health policy 1983 fails to achieve Reference : Park's textbook of preventive and social medicine, 23rd edition, Page no: 493